Oral rehydration therapy takes advantage of which transporter in GIT -
1. Na Glucose co transport
2. K glucose co transport
3. Na calcium co transport
4. Na channel

Correct answer: 1. Na Glucose co transport

Explanation: Ans. is 'a' i.e., Na Glucose co transport * Oral rehydration is possible if glucose is added with salt. It capitalizes on the intactness of glucose coupled Na+ absorption (Na glucose co transport), even when other mechanisms have failed or when intestinal secretion is excessive, because the secreted fluid lacks glucose and cannot be reabsorbed.